Most common joint involved in Gout y arthritis is ?
1. Knee joint
2. Hip joint
3. MP joint of the big toe
4. MP joint of thumb

Correct answer: 3. MP joint of the big toe

Explanation: Gout: Disturbed purine metabolism leading to ecxessive accumulation of uric acid in the blood -an inherited disorder ;or impaired excretion of uric acid by kidneys.result is accumulation of sodium bicarbonte crystals in soft tissues.Tisues of predliction are cartilages,tendon ,bursa. Patient ,beyond 40 years of age, presents as 1.arthritis-MP joint of big toe is favourite site,acute severe pain 2.bursitis-commonly of olecranon bursa 3.tophi formation deposit of uric acid salt in soft tissue. Treatment: NSAIDS,uricosuric drugs,uric acid inhibitors. REF:Essential Orthopaedics.Maheswari &Mhaskar.Edition 9.Pg no:293